Commonest extracranial complication of CSOM
1. Petrositis
2. Labyrinthitis
3. Subperiosteal abscess
4. Facial nerve paralysis

Correct answer: 3. Subperiosteal abscess

Explanation: Pus may break through mastoid cortex leading to subperiosteal abscess which may even burst on surface leading to a discharging fistula It occurs as a sequence of mastoiditis which is a most common complication Ref: Dhingra 7e pg 84.